Anesthesia of choice for induction of anesthesia in children is?
1. Desflurane
2. Halothane
3. Sevoflurane
4. Isoflurane

Correct answer: 3. Sevoflurane

Explanation: Sevoflurane REF: Morgan's anesthesia 3" ed p. 404, 570, 860, 884 "Sevoflurane is anesthetic of choice for induction in pediatrics because of rapid onset and non-pungency" Induction in pediatrics patient Inhalation -- Sevoflurane in N20 Intravenous (preferred) - rapid acting barbiturate like thiopental or Propofol followed by non-depolarizing muscle relaxant. Intramuscular- Ketamine Muscle relaxant (MR)- Rocuronium